A 65-year-old male from bihar with a pneumonia has a sputum culture that is positive for a staphylococcal strain that is b-lactamase- positive. Which is the best choice of penicillin therapy in this patient?
1. Ampicillin
2. Oxacillin
3. Ticarcillin
4. Penicillin G

Correct answer: 2. Oxacillin

Explanation: Oxacillin is classified as a penicillinase-resistant penicillin that is relatively acid-stable and, therefore, is useful for oral administration. Major adverse reactions include penicillin hypersensitivity and interstitial nephritis. With the exception of methicillin, which is 35% bound to serum proteins, all penicillinase-resistant penicillins are highly bound to plasma proteins. Oxacillin has a very narrow spectrum and is used primarily as an antistaphylococcal agent.